Receptors for vomiting is:
1. 5HT1
2. 5HT2
3. 5HT3
4. 5HT4

Correct answer: 3. 5HT3

Explanation: 5HT3